Jarisch-herxheimer reaction is seen during treatment of patient suffering from -
1. Syphilis
2. Impetigo
3. Erysepals
4. Typhoid

Correct answer: 1. Syphilis

Explanation: Ans. is 'a' i.e., Syphilis Jarisch-Herxheimer Reaction* JH reaction occurs when large quantities of toxic products (toxins) are released into the body as bacteria die due to antibiotic treatment. The death of these bacteria and the associated release of toxins occurs faster than the body can remove the toxins via the natural detoxification process performed by kidney and liver. These toxins than induce the production of inflammatory cytokines mainly TNF-a, IL-6 & IL8. These cytokines produce clinical effects like fever, chills, headache, myalgia, exacerbation of skin lesions.Deseases producing Jarisch-Herxheimer reaction* Syphilis (Secondary >* Primary > early latent)* Cat Scratch disease* Q fever* Borrelliosis1) Lyme disease2) Tick-borne relapsing fever* Brucellosis* Bartonellosis* Typhoid fever